In putrefaction greenish discolouration is first seen in -
1. Loin
2. Epigastrium
3. Right iliac fossa
4. Lower limb

Correct answer: 3. Right iliac fossa